Ureter develops from
1. Pronephros
2. Metanephros
3. Mesonephros
4. Mesonephric duct

Correct answer: 4. Mesonephric duct